Which is not true regarding compartmental syndrome
1. Common in a closed fracture
2. Common in soft-tissue crush injury
3. Pain on passive extension of the muscles is diagnostic
4. Intracompartmental pressure studies are required

Correct answer: 4. Intracompartmental pressure studies are required

Explanation: Most common in a closed fracture or soft-tissue crush injuryPain on passive extension of the muscles is diagnosticIntracompartmental pressure studies are not reliableIf there is any suspicion, then fasciotomy must be performed earlyIntracompartmental pressure measurements should only be used for diagnosis in the unconscious patient where the classic sign of extreme pain on passive stretching cannot be elicited.Bailey and Love 26e PG: 432